Which of the following is used to increase antigenicity of vaccine ?
1. Stabilizer
2. Adjuvant
3. Preservative
4. None of the above

Correct answer: 2. Adjuvant

Explanation: Ans. is 'b' i.e., Adjuvant Adjuvants Any substance that enhances the immunogenicity of an antigen. Actions : May confer immunogenicity on nonantigenic substances. Increases the concentration and presistence of the circulating antibodies. Enhances the degree of cellular immunity Leads to production of adjuvant disease such as allergic disseminated encephalomyelitis. The most potent adjuvant is Freund's complete adjuvant which is the incomplete adjuvant along with a suspension of killed tubercle bacilli. Other adjuvants. Incorporation of protein antigen in the water phase of water in oil emulsion (Freund's incomplete adjuvant) Aluminium hydroxide and Aluminium phosphate are commonly used with human vaccines. Gram negative bacilli show an adjuvant effect due to their lipopolysaccharide (endotoxin) fraction. Bordetella pertussis acts as a good adjuvant for diphtheria and tetanus toxoid in triple vaccine.